Chronic subdural haenatoma refers to collection present for a period of
1. 7 days
2. 6 months
3. 1 year
4. 21 days

Correct answer: 4. 21 days

Explanation: REF; GREENBERG HANDBOOK OF NEUROSURGERY 8th edi, p-895